How does hyperammonemia inhibit TCA cycle
1. By depleting Alpha Ketoglutarate
2. By depleting Oxaloautate
3. By increasing concentration of alpha ketoglutarate
4. By increasing concentration of oxaloautate.

Correct answer: 1. By depleting Alpha Ketoglutarate

Explanation: Build up of cummonemia which occurs in area cycle disorders or advanced liver disease inhibits TCA cycle by depleting Alpha ketoglutarate.